Percentage of glutaraldehvde used -
1. 1%
2. 2%
3. 3%
4. 4%

Correct answer: 2. 2%

Explanation: Ans. is 'b' i,e., 2% Gluteraldehvdeo 2% Glutaradehyde (cidex) is an aldehyde disinfectant with a broad spectrum of action against bacteria, fungi, viruses, as well as spores (slow action)o It is most often used for equipment such as endoscopes that cannot be sterilized or disinfected by heat (cytoscopes/bronch oscopes)o Glutraldehyde is used for-* Cystoscopes and bronchoscopes# Face masks# Polythene tubing* Corrgated rubber anaesthetic tubes# Plastic endotracheal tubes